Which of the following is called Dense deposit disease
1. RPGN - I
2. MPGN - II
3. RPGN - II
4. MPGN - I

Correct answer: 2. MPGN - II

Explanation: It is called Dense deposit disease because of deposition of abnormal, electron dense material within the GBM of kidney and often within Bructis membrance in the eye.